Mill Wheel Murmur heard in case of
1. Air embolism
2. Aortic dissection
3. Coarctation of aorta
4. Abdominal aortic aneurysm

Correct answer: 1. Air embolism

Explanation: Mill WHEEL murmur: constant machine like sound, late sign, heard over precordium heard in cases of air embolism.